What is an absolute indication for surgery in disc prolapse?
1. Recurrent episodes of sciatica
2. Pain not relieved by complete rest
3. Cauda equina paralysis
4. All the above

Correct answer: 3. Cauda equina paralysis

Explanation: Ans. C. Cauda equine paralysisAbsolute indications for disc prolapse surgery are:* Failed conservative management* Marked progressive weakness of muscles* Progressive neurological deficit* Cauda equina paralysisRelative indications are:* Recurrent episodes of incapacitating sciatica* Pain not relieved by complete rest from activities* Surgery is done to ensure that the pressure on the nerve root is relieved by removing the prolapsed disk.Note:* The most common cause of sciatica is IVDP.